All of the following are examples of 'specific learning disability' EXCEPT?
1. Dyslexia
2. Dysgraphia
3. Dyscalculia
4. Dysphoria

Correct answer: 4. Dysphoria

Explanation: Dysphoria- not a learning disability. 'Specific learning disability' include: Dyslexia- difficulty in reading. Dysgraphia - illegible handwriting & spelling mistakes. Dyscalculia- difficulty performing simple calculations.